All of the following are true about delirium tremens, except:
1. Visual Hallucinations
2. Tremors
3. Ophthalmoplegia
4. Clouding of consciousness

Correct answer: 3. Ophthalmoplegia

Explanation: Answer is C (Ophthalmoplegia): Treatment in Neurology 1st/516, 517; 'Clinical Neuropsychology ofAlcoholism' (1994)/39; Other References; Ophthalmoplegia is a feature of Wernicke's syndrome (Encephalopathy) and is not a feature of Delirium Tremens Ophthalmoplegia is a feature of Wernicke's Encephalopathv and not Delirium Tremens Triad of Wernicke's encephalopathy (Thiamine deficiency in alcoholics) Ophthalmoplegia (Third & Sixth Nerve palsies & Nystagmus are typical) Ataxia Confusion (Global confusion)